Psoralen - A is used in the treatment of :
1. Pemphigus
2. Vitiligo
3. Pityriasis alba
4. Icthyosis

Correct answer: 2. Vitiligo

Explanation: B. i.e. Vitiligo